Which of the following prevents hyperextension of thigh?
1. Ileofemoral ligament
2. Ischiofemoral ligament
3. Puboischial ligament
4. Pubofemoral ligament

Correct answer: 1. Ileofemoral ligament

Explanation: The iliofemoral ligament, or inverted Y-shaped ligament of Bigelow,lies anteriorly. It is one of the strongest ligaments in the body. It prevents the trunk from falling backwards in the standing posture. The Iigament is triangular in shape. Its apex is attached to the lower half of the anterior inferior iliac spine; and the base to the intertrochanteric line. The upper oblique and lower vertical fibres form thick and strong bands, while the middle fibres are thin and weak. It prevents excessive hyper-extension of the hip joint. Ref - BDC 6th edition vol 2 pg 137